Biomedical concept of health is based on -
1. Germ theory of disease
2. Absence of pain
3. Social & psychological factors
4. Equilibrium between man and environment

Correct answer: 1. Germ theory of disease

Explanation: Ans. is 'a' i.e., Germ theory of diseaseo There are following changing concepts of health1) Biomedical concept# According to this concept, health is defined as absence of diseae and has the basis of germ theory of disease.2) Ecological concept# According to this concept, health is a dynamic equilibrium between man and his environment, and disease a maladjustment of human to environment.# According to Dubos "health implies the relative absence of pain and discomfort and a continuous adaptation and adjustment to the environment to ensure optimal function".# The ecological concept raises two issues, i.e. imperfect man and imperfect environment.3) Psychological concept# It includes the influence of social, psychological, cultural, economic and political factors.4) Holistic concept# The holistic model is a synthesis of all the above concepts.This view corresponds to the view held by the ancients that "health implies a sound mind, in a sound body, in a sound family, in sound environment."